Fibrates - false is
1. They increase lipoprotein lipase activity through PPAR alpha, and cause increased lipolysis of triglycerides.
2. They are better absorbed when taken on empty stomach, than when taken with food
3. Cause utricaria, rashes, alopecia, myopathy and G.I. distress.
4. Are first lines of drugs in severe dysbetalipoproteinemias and hypertriglyceridemias.

Correct answer: 2. They are better absorbed when taken on empty stomach, than when taken with food

Explanation: Ans. is 'b' i.e. They are better absorbed when taken on empty stomach, than when taken with food Fibric acid derivations (Fibrates)The class includes:-BezafibrateCiprofibrateFenofibrate andGemfibrozil * The original fibrate clofibrate is obsolete.Mechanism of action:These drugs act by activating lipoprotein lipase which is a key enzyme in the degradation of VLDL.This effect is exerted through nuclear receptor, PPARa (peroxisome proliferators activated receptor alpha)The PPAR a are class of intracellular receptor that modulate carbohydrate and fat metabolism and adipose tissue differentiation.Major effect of the fibrates is to reduce triglycerides TG (contained in VLDL) and to increase HDL. Fibrates also reduce plasma fibrinogen level. They are first line drugs in dysbetalipoproteinemias and hypertriglyceridimias Pharmacokinetics of fibrates:-Fibric acid derivatives are well absorbed from the gastrointestinal tract, extensively bound to plasma proteins and are excreted mainly by the kidney as unchanged drug or metabolite.Absorption of fibrates in improved when the drug in taken with foodThey are contraindicated when hepatic or renal function is severely impaired.Adverse effects of fibrates:-Fibrates can induce a myositis like syndrome, the risk is greater in patient with poor renal function and in those who are also receiving a statin.Other adverse effects include rashes, gastrointestinal symptoms, arryhthmias, hypokalemia and high blood level of aminotransferases or alkaline phosphatase.Some more features of fibratesFenofibrate is a prodrug with longest half life.It has maximum LDL cholesterol lowering action.Clofibrate is not used now because it results in increased mortality (due to malignancies and post cholecystectomy) complications and did not prevent fatal ML